On which of the following permanent teeth is it most difficult to distinguish between mesial and distal aspects?
1. Maxillary central incisor
2. Mandibular central incisor
3. Mandibular lateral incisor
4. Mandibular second premolar

Correct answer: 2. Mandibular central incisor